Least Extrapyrimidal S/E are seen in
1. Halo peridol
2. Thioridazine
3. Clozapine
4. CPZ

Correct answer: 3. Clozapine

Explanation: C i.e. Clozapine